Primary structural defect of an organ is termed -
1. Malformation
2. Disruption
3. Deformation
4. Association

Correct answer: 1. Malformation

Explanation: Ans. (a) Malformation(Ref: Robbins 9th/pg 452)Malformation refers to primary structural defect of an organ due to intrinsically abnormal developmental process (multifactorial); Eg Anencephaly, Congenital heart defects